All of the following are the contents of occipital triangle, except
1. Great auricular nerve
2. Lesser occipital nerve
3. Occipital artery
4. Suprascapular nerve

Correct answer: 4. Suprascapular nerve

Explanation: Suprascapular nerve is a branch from upper trunk of brachial plexus and is a content of subclavian part of posterior triangle not occipital triangle.